There is no cyanosis in severe anemia because -
1. Certain min. amount of reduced Hb should be present
2. In anemia, O2 saturation increases
3. Hypoxia stimulates erythropoietin production
4. O2 hemoglobin curve shifts to right

Correct answer: 1. Certain min. amount of reduced Hb should be present

Explanation: Ans is 'a' i.e. Certain min. amount of reduced Hb should be present o Cyanosis is a blue coloration of the skin and mucous membranes due to the presence of >5g/dl reduced hemoglobin in blood vessels near the skin surface. Now since in anemia the total amount of hemoglobin is decreased, the amount of reduced Hb to produce Cyanosis is not sufficient.